Receptor responsible for malignant hyperthermia is?
1. Nicotinic receptor
2. Ryanodine receptor
3. Muscarinic receptor
4. None

Correct answer: 2. Ryanodine receptor

Explanation: Ryanodine receptor REF: Morgan 3rde p. 869 This condition is known by a number of names, including malignant hyperthermia (MH), malignant hyperthermia syndrome (MHS), and malignant hyperpyrexia. Signs and symptoms: The typical symptoms of malignant hyperthermia are due to a hypercatabolic state, which presents as a very high temperature, an increased heart rate and breathing rate, increased carbon dioxide production, increased oxygen consumption, acidosis, rigid muscles, and rhabdomyolysis. The symptoms usually develop within one hour after exposure to trigger substances, but may even occur several hours later in rare instances. Causes: Volatile anesthetic gases halothane, sevoflurane, desflurane Local anesthetics lidocaine, bupivicaine, mepivacaine Depolarizing muscle succinylcholine relaxants Other Opiates (morphine, fentanyl), ketamine, barbiturates, nitrous oxide, propofol, etomidate, benzodiazepines Genetics: Malignant hyperthermia's inheritance is autosomal dominant. The defect is typically located on the long arm of the nineteenth chromosome (19q13.1) involving the ryanodine receptor.